Dantrolene is used in treatment of
1. Malignant hyperthermia
2. Neuroleptic malignant syndrome
3. Thyrotoxicosis-induced hyperthermia
4. All of the above

Correct answer: 4. All of the above

Explanation: Ans. d (All of the above) (Ref. Harrison's Internal Medicine 17th edition, p. 121/ Tripathi, p. 347)DANTROLENE# It inhibits Ry R Ca++ channel receptors and thus prevents the release of Ca2+ from the sarcoplasmic reticulum of skeletal muscle.# Uses:OrallyIVReduces spasticityMalignant hyperthermiaIn UML LesionsLeptic malignant syndromeMultiple sclerosisSerotonin syndromeCerebral palsyThyrotoxicosis-induced hyperthermia# Dose of Dantrolene for Hyperthermia - 1-2 mg/kg iv 6 hrly for 24-48 hrs.# Adverse effects:u Muscle weakness, # Diarrhea, # Hepatotoxicity.Neuroleptic malignant syndrome (NMS)-- a s/e of antipsychotic drugs; C/f-rigidity, myoglobinuria, autonomic instability, hyperpyrexia. Treatment:dantrolene, D2 agonists (e.g., bromocriptine).Malignant hyperthermia-- rare, life-threatening hereditary condition in which inhaled anesthetics (except nitrous oxide) and succinylcholine induce fever and severe muscle contractions. Treatment: dantrolene.Also know: other S/e of inhalational anaesthetics: Hepatotoxicity (halothane), nephrotoxicity (methoxyfiurane), proconvuisant (enfturane), expansion of trapped gas in a body cavity (nitrous oxide).Educational Points:DiseaseKey featureHyperthermia-Hypothalamic set point not elevatedMalignant Hyperthermia -Halothane & SchSerotonin Syndrome -SSRI's and when MAO inhibitors or TCA are given